Cephalometrics is useful in assessing all of the following relationships except:
1. Tooth to tooth
2. Bone to bone
3. Tooth to bone
4. Soft palate to gingiva

Correct answer: 4. Soft palate to gingiva

Explanation: Cephalometric analysis
Cephalometric analysis is the process of evaluating skeletal, dental and soft tissue relationship of a patient by comparing measurements performed on the patient’s cephalometric tracing with population norms for respective measurement(s), to come to a diagnosis of the patients’ orthodontic problem.
The cephalometric analysis essentially involves evaluation of the patient’s:

Skeletal pattern
Dentition and its pattern (denture pattern)
Soft tissue pattern of face
Nasopharyngeal airway
Growth trend.

Ref: Orthodontics: Diagnosis and Management of Malocclusion and Dentofacial Deformities, 3e, Om P. Kharbanda pdf no 973